Pseudo Bubo is seen in
1. Chancroid
2. LGV
3. Donovanois
4. Syphillis

Correct answer: 3. Donovanois

Explanation: C i.e. Donovanosis